Mesiodistal width is more than cervico-incisal length of crown in:
1. Permanent central incisors
2. Deciduous maxillary central incisors
3. Permanent maxillary canines
4. Permanent mandibular lateral incisors

Correct answer: 2. Deciduous maxillary central incisors